Which of the following is not a SSRI?
1. Esclitalopram
2. Sertraline
3. Paroxetine
4. Amitriptyline

Correct answer: 4. Amitriptyline

Explanation: ANSWER: (D) AmitriptylineREF: Harrisons 17thed chapter 365List of SSRICitalopramDapoxetineEscitalopramFluoxetineFluvoxamineIndalpine (discontinued)ParoxetineSertralineVilazodone10. Zimelidine (discontinued)